True about Psammoma bodies are all except -
1. Seen in meningioma
2. Concentric wrhorled appearance
3. Contains Calcium deposits
4. Seen in teratoma

Correct answer: 4. Seen in teratoma

Explanation: Ans. is 'd' i.e., Seen in teratoma o Psammoma bodies represent a process of dystrophic calcification. Thev are concentric laminated calcified spheres,o Single necrotic cells may constitute seed crystals that become encrusted by the mineral deposits. The progressive acquisition of outer layers may create lamellated configurations, called psammoma bodies because of their resemblance to grains of sand.Psammoma bodies are seen in :-o Papillary carcinoma of thyroid,o Renal cell carcinoma,o Serous cystadenoma of ovary.o Meningiomao Malignant mesotheliomao Somatostatinomao Prolactinomao Endometrial papillary serous cystadenocarcinoma.